Which of the following is not associated with streptococcus-
1. Rheumatic fever
2. Scarlet fever
3. Acute G.N.
4. Scalded skin syndrome

Correct answer: 4. Scalded skin syndrome